For the diagnosis of obstructive airway disease which of the following is preferred
1. Vital capacity
2. Timed vital capacity
3. Tidal volume
4. Blood gas analysis

Correct answer: 2. Timed vital capacity

Explanation: In obstructive airway diseases fev1 is markedly reduced than FVC. Maximum mid expiratory flow rate(fev 25 -75 %) is the more sensitive measure of small airway obstruction.